Frie's test is useful for diagnosis of
1. Mycoplasma
2. Rickettsia
3. Sarcoidosis
4. Chiamydia

Correct answer: 4. Chiamydia